Rhinoscleromatis is caused by -
1. Klebseilla
2. Autoimmune
3. Spirochetes
4. Rhinosporidium.

Correct answer: 1. Klebseilla

Explanation: Rhinoscleroma is caused by Klebsiella rhinoscleromatis or Frisch bacillus.